Increased radiolucency of one sided hemithorax may be caused by all except
1. Obstructive Emphysema
2. Pneumothorax
3. Expiratory film
4. Patient rotation

Correct answer: 3. Expiratory film

Explanation: C i.e. Expiratory film How can a normal expiratory film leads to increased radiolucency of hemithorax? So the answer is very obvious. Ted Radiolucency of one side means there is U/L lung pathology. Obst. Emphysema & U/L Pneumothorax may lead to U/L lung collapse & radiolucency. Patient rotation may also lead to false impression of U/L radiolucency. But expiration film in normal conditions may never be a cause of this. Causes of U/L Radiolucent Hemithorax * Always remember that decreased 11/L lung mass as in pulmonary agenesis pulmonary hypoplasia, collapse & pneumonectomy are the causes of U/L radiodense hemithorax with I/L mediastinal displacement.